Pregnant lady presents with fulminant hepatitis. Most Common Cause:
1. Hepatitis D
2. Hepatitis E
3. Hepatitis B
4. Hepatitis A

Correct answer: 2. Hepatitis E

Explanation: Ans. B: Hepatitis E In general, hepatitis E is a self-limiting viral infection followed by recovery. Prolonged viraemia or faecal shedding are unusual. Fulminant hepatitis occurs more frequently in pregnancy and regularly induces a mortality rate of 20% among pregnant women in the 3rd trimester. Perinatal transmission is uncommon. Fulminant hepatitis is uncommon with hepatitis-C and rare with hepatitis-A.